First to come in female puberty ?
1. Thelarche
2. Menses
3. Pubarche
4. Growth spurt

Correct answer: 1. Thelarche

Explanation: Ans. is `a' i.e., Thelarche In girls, the first visible sign of puberty is the appearance of breast buds (Thelarche), between 8-12 years of age. In boys the first visible sign of puberty is testicular enlargement, beginning as early as 91/2 yr